Not true about varicella infection-
1. Secondary attack rate is 90%
2. Lesions occur on flexor surfaces
3. Only single stage of lesion is present at a time
4. Reactivation occur in 10-30% cases

Correct answer: 3. Only single stage of lesion is present at a time

Explanation: chicken pox:- Agent-Human alpha herpes virus 3 Primary infection causes chicken pox. Recovery from primary infection is commonly followed by establishment of latent infection in cranial nerves,sensory ganglia, spinal dorsal root ganglia.When the cell mediated immunity wanes,the virus may reactivate in 10-30% cases. Incubation period -15 days. Distribution of rash:- Centripetal Axilla affected Rash seen mostly over flexor aspect. Characteristics of rash:- Superficial Unilocular-dew drops like appearance. Rash pleomorphic- different stages of rash evident at one time. An area of inflammation seen around vesicle. Evolution of rash : very rapid. Scab begins to form 4-7 days after the rash appears. Fever- temperature rises with each fresh crop of rash. Secondary attack rate-90% {Reference: park's textbook of preventive and social medicine, 23rd edition, pg no.144}